The mechanism of direct transfer of free DNA involves _____
1. Transformation
2. Transduction
3. Conjugation
4. Mutation

Correct answer: 1. Transformation

Explanation: Transformation is a process of the transfer of DNA itself from one bacterium to another. This may occur either in nature or in a laboratory. DNA is released from a bacterium by lysis, which may be taken up by recipient bacterium that must be competent. In laboratory conditions, DNA may be extracted from one type of bacterium and introduced into genetically different bacteria. The cell walls of bacteria in vitro are made more permeable for DNA uptake by using substances, such as calcium chloride. Transduction is the process by which foreign DNA is introduced into a cell by a virus or viral vector. Conjugationis the process by which onebacteriumtransfers genetic material to another through direct contact. This takes place through a pilus. During conjugation, onebacteriumserves as the donor of the genetic material, and the other serves as the recipient.